BNP is regarded by
1. Neutral endopeptidases
2. Elastase
3. Omapatrilat
4. ACE

Correct answer: 1. Neutral endopeptidases

Explanation: Inhibition of the neutral endopeptidase (NEPinh) had been investigated as a potential novel therapeutic approach because of its ability to increase the plasma concentrations of the natriuretic peptides (NPs). Indeed, the NPs have potent natriuretic and vasodilator properties, inhibit the activity of the renin-angiotensin-aldosterone system, lower sympathetic drive, and have antiproliferative and antihypertrophic effects Refer katzung 11e p303